All are true about respiratory viruses except
1. RSV - common cause of bronchiolitis in infants
2. Mumps causes septic meningitis
3. SSPE is a late complication of measles
4. Para influenza attaches to cell by hemagglutinin

Correct answer: 2. Mumps causes septic meningitis

Explanation: Ans. is 'b' i.e. Mumps causes septic meningitis Remember this,Bacterias cause septic meningitis whereas viruses cause aseptic meningitisRespiratory syncytial virus is the most important cause of (bronchiolitis) lower respiratory tract illness in infants and young children.Mumps and meningitis:-Central nervous system involvement is common in mumps infection. Mumps cause aseptic meningitic.Meningoencephalitis usually occurs 5-7 days after inflammation of the salivary gland. Meningitis is reported in upto 15% of cases and encephalitis in less than .3%.Cases of mumps meningitis and meningoencephalitis usually resolve without sequela although unilateral deafness occurs in about 5 :100,000 cases.SSPE and measlesSubacute sclerosing panencephalitis is a rare late complication of measles infections.The disease begins insidiously 5-15 years after a case of measles.It is characterized by progressive mental deterioration in voluntary movements, muscular rigidity and coma.It is usually fatal within 1-3 years of onset.Patients with subacute panencephalitis exhibit a high titres of measles antibody in cerebrospinal fluid and defective measles virus in brain cells.Parainfluenza virusParainfluenza viruses are ubiquitous and cause common respiratory illness in persons of all ages.They are major pathogens of severe respiratory tract disease in infants and young children. Only RSV causes more cases of serious respiratory disease in children.Parainfluenza virus replicate in the respiratory epithelium.They attach via haemagglutinin to sialic acid containing receptors on the cell surface of respiratory epithelium.